Which of the following ear ossicle is 1st to get affected otitis media:
1. Long process of incus
2. Stapes
3. Handle of malleus
4. Body of malleus

Correct answer: 1. Long process of incus

Explanation: Ans. (a) Long process of incusRef: Dhingra's ENT 5th ed. 178 & 81OSSICULAR NECROSIS IN OTITIS MEDIADhingra States* In case of tubo-tympanic CSOM "ossicular chain is usually intact and mobile but may show some degree of necrosis, particularly of the long process of incus"* In case of atticoantral type CSOM "ossicular necrosis is common in atticoantral type of CSOM. Destruction may be limited to the long process of incus or may alsoinvolves stapes superstructure, handle of malleus or the entire ossicular chain"